Most common site of distant metastasis in intraorbital malignant melanoma is-
1. Brain
2. Lung
3. Liver
4. Lymph nodes

Correct answer: 3. Liver

Explanation: The most common primary cancers with orbital metastases are breast, lung, and prostate. Breast consistently ranks the most common primary site, with 48%-53% ofmetastatic orbital lesions. Other sitesinclude kidney, thyroid, stomach, melanoma, and pancreas. ... Scirrhous breast carcinoma may present with enophthalmos. Ref khurana 6/e